Otoacoustic emissions are derived from:
1. Tympanic membrane
2. Ossicles
3. Cochlea
4. Vestibule

Correct answer: 3. Cochlea

Explanation: Ans. (c) CochleaRef: Dhingra's ENT 5th ed. / 32* Otoacoustic emission (OAE) are low intensity sounds produced by outer hair cells of a normal cochlea.* These sounds produced by outer hair cells travels in a reverse direction: outer hair cells - basilar membrane - perilymph - oval window - ossicles - tympanic membrane - ear canal.* When outer hair cells are damaged, OAE are absent. Hence it helps to know the function of cochlea.